In gout tophi are not seen in?
1. Skin
2. Muscles
3. Nasal cartilage
4. Synovium

Correct answer: 2. Muscles

Explanation: Muscles REF: Apley 8th edition page 77 Tophi are nodular deposition of crystals of mono sodium urate which get deposited in connective tissues like: Articular cartilage Tendon Synovium Articular ends of bone Periarticular tissue Pinna Cartilage Ligaments Kidney Subcutaneous tissue On X-ray: Tophi appears as punched out cysts with over hanging bony edges or G sign or martel's sign. Metatarsophalangeal joint is the most common and earliest joint affected by gout